Which of the following is not recommended in the treatment of Chronic Low Back Pain?
1. NSAIDs
2. Bed Rest for 3 months
3. Exercises
4. Epidural steroid injection

Correct answer: 2. Bed Rest for 3 months

Explanation: In patients with chronic low back pain (CLBP), bed rest should not exceed 2 days. Ref: Harrison's Principles of Internal Medicine, 16th Edition, Page 101; Evidence-Based Chronic Pain Management By Cathy Stannard, Eija Kalso, Jane Ballantyne, Chapter 7